Topical antifungal used in corneal fungal infection -
1. Silver sulfadiazine
2. Neomycin
3. Natamycin
4. Griseofulvin

Correct answer: 3. Natamycin

Explanation: Topical antifungal eyedrops should be used for long period(6-8 weeks),these include:Natamycin,Amphotericin B and either fluconazole or miconazole. Reference:Comprehensive ophthalmology,AK Khurana,6th edition,page no.107